Increased LDH in Aqueous Humor suggest a diagnosis of –
1. Galactosemia
2. Retinoblstoma
3. Glaucoma
4. Gyrate atrophy

Correct answer: 2. Retinoblstoma

Explanation: LDH of aqueous humor is often used as a marker for retinoblastoma.